Physiological leukocytosis is seen in
1. Infancy
2. Parturition
3. Post prandial
4. ALL of the above

Correct answer: 4. ALL of the above

Explanation: Physiological leukocytosis (i.e.,increase in the number of circulating leucocytes in the absence of infection or tissue injury) has no clinical significance. It is seen in the following conditions: 1. Normal infants: The count may be as high as 18-20,000/mm3 but it returns to normal level within 1-2 years. 2. Food intake and digestion ("digestive leukocytosis"):There is a mild increase which returns to normal within an hour or so. 3. Physical exercise. 4. Mental stress. 5. Pregnancy: The count may be quite high, especially during the first pregnancy. 6. Parturition: The high TLC is possibly due to tissue injury, pain, physical stress and hemorrhage. 7. Extremes of temperatures: Exposure to sun or to very low temperature can increase the WBC count.